What is the recommended duration of quarantine for yellow fever?
1. 3 days
2. 6 days
3. 9 days
4. 12 days

Correct answer: 2. 6 days

Explanation: A traveller should be placed in a mosquito proof ward for 6 days from the date of leaving an infected area. Ref: Park 21st edition, page 259.